Arden index is related to –
1. ERG (Electroretinogram)
2. EOG (Electroculogram)
3. VER (Visual Evoked response)
4. Perimetry

Correct answer: 2. EOG (Electroculogram)

Explanation: Arden index is related to Electrooculography
Interpretation of results:- Results of EOG are interpreted by finding out the Arden ratio as follows :

Arden ratio = Minimum height of light peak / Minimum height of dark trough  x 100

Normal curve values are 185 or above.
Subnormal curve values are less than 150.
Flat curve values are less than 125.